All are true for sublingual route except ?
1. Escape first pass metabolism
2. All drugs can be given
3. Action can be terminated any time
4. Rapid absorption

Correct answer: 2. All drugs can be given

Explanation: Ans. is 'b' i.e., All drugs can be given Sublingual route of administration The tablet or pellet containing the drug is placed under the tongue or crushed in the mouth and spread over the buccal mucosa. Only the lipid soluble and non-irritating drugs can be administered by this route Absoption is rapid and action can be produced in minutes Action can be easily terminated by spitting the drug after the desired effect is achieved. Liver is bypassed with this route, thus the drugs with high first pass metabolism can be easily given by this route. Drugs given by this route are: GTN, buprenorphine, desamino-oxytocin.